You are investigating the exposure to aflatoxin in a young man with hepatocellular carcinoma. There is a history of consumption of soya sauce which could have been contaminated. Which is the likely organism responsible?
1. Fusarium
2. Rhizopus
3. Candida
4. Aspergillus

Correct answer: 4. Aspergillus

Explanation: Aspergillus species produce toxins that exhibit a wide range of toxicities and cause significant long-term effects. Aflatoxin B1 is perhaps the most potent liver carcinogen known for a wide range of animal species, including humans. Mycotoxins produced by Aspergillus species are, aflatoxins B1 and B2, aflatoxins G1 and G2, cyclopiazonic acid, ochratoxin A, sterigmatocystin, fumitremorgens, territrems, tryptoquivalines, cytochalasins, and echinulins.